Trichomycosis axillaris is caused by
1. Trichophyton
2. Aspergillus
3. Corynebacterium
4. Staphylococcus

Correct answer: 3. Corynebacterium

Explanation: Trichomycosis axillaris is a misnomer, it's not a fungal infection. It is a corynebacterium infection of hair shaft.